Features of hypovolemic shock are all except -
1. Oliguria
2. Bradycardia
3. Low B.P
4. Acidosis

Correct answer: 2. Bradycardia